Which of the follow ing w as added to the Criminal Justice Act 2006 by the 2009 amendment?
1. Directing criminal organization
2. Participating or contributing to organized crime
3. Commission of an offence for criminal organization
4. All the above

Correct answer: 4. All the above

Explanation: Ans. is 'd' i.e., Ail of the above o Following sections were added to the Criminal Justice Act 2006 by the 2009 amendment -Directing criminal organization (Section 71).Participating or contributing to organized crime (Section 72).Commission of an offence for criminal organization (Section 73).